Rinne's test is -
1. For hearing
2. For vestibular function
3. For cognitive function
4. For vision

Correct answer: 1. For hearing